The Toxin responsible for Lathyrism is
1. BOAA
2. Sanguinarine
3. Pyrazolidine alkaloid
4. Calotoxin

Correct answer: 1. BOAA

Explanation: (A) BOAA # LATHYRISM or NEUROLATHYRISM is a neurological disease of humans and domestic animals, caused by eating certain legumes of the genus Lathyrus. This problem is mainly associated with Lathyrus sativus.> The lathyrism resulting from the ingestion of Lathyrus odoratus seeds (Sweet peas) is often referred to as odoratism, which is caused by a different toxin (Beta-amino-propionitrile) and affects the linking of collagen, a protein of connective tissues.> Symptoms> The consumption of large quantities of Lathyrus grain containing high concentrates of the neurotoxin beta-oxalyl-L-aipha,beta- diaminopropionic acid (or ODAP) causes paralysis, characterized by lack of strength in or inability to move the lower limbs.> Poison responsible in the peas is the glutamate analogue beta-(N)-oxalylamino-L-alanine acid (BOAA), aka beta-N-oxalyl-diamino- propionic acid (beta-ODAP).